Painful ulcers over genitalia are caused by
1. Primary syphilis
2. Granuloma inguinale
3. Chanchroid
4. Lymphogranuloma venerum

Correct answer: 3. Chanchroid

Explanation: Ans. c (Chancroid). (Ref. Ananthnarayan, 6th /326, Harrison, Medicine, 15th/1004)Painful ulcer on the penis is due to Haemophilus ducreyi or chancroid or soft chancre.Differential diagnosis of ulcers on genitalia is.Herpes simplex Organisms causing an ulcer on genitaliaCommentsChancroid# It is acute onset, painful ulcer, preceded by vesiculopustule, causes multiple ulcers, with a soft base, tender, bleeding ulcer, the floor of ulcer is formed by the slough, with undermined edges, purulent & profuse discharge surr by the inflammatory skin, & progresses fast.# Caused by Haemophilus ducreyii. Smear shows Gram-negative bacilli in chains.Granuloma inguinale# Caused by Calymmatobacterium granulomatis,Primary syphilis (Condyloma lata)# Treponema pallidum. (Hard chancre)Herpes simplex